Microcalcification on mammography is suggestive of:
1. Fibroadenoma
2. Hidradenitis suppurative
3. Carcinoma
4. Benign condition

Correct answer: 3. Carcinoma

Explanation: Specific mammographic features that suggest a diagnosis of breast cancer include a solid mass with or without stellate features, asymmetric thickening of breast tissues, and clustered microcalcifications. The presence of fine, stippled calcium in and around a suspicious lesion is suggestive of breast cancer and occurs in as many as 50% of nonpalpable cancers. These microcalcifications are an especially important sign of cancer in younger women, in whom it may be the only mammographic abnormality. Ref: Schwartz's principle of surgery 9th edition, chapter 17.